Most common site for eosinophilic granuloma is?
1. Radius
2. Skull
3. Lumbar vertebra
4. Femur

Correct answer: 2. Skull

Explanation: Ans. is 'b' i.e., Skull The most common sites are skull bones, long bones, spinal vertebrae, mastoid and mandible.